Positively charged particle can be easily filtered than negatively charged particle because
1. Positively charged particles are of small size
2. Presence of positive charged particles on filtering membrane attracts positively charged particle
3. Presence of negatively charged sialoproteins on filtering membrane repels negatively charged particles and allows positively charged particles.
4. None of the above

Correct answer: 3. Presence of negatively charged sialoproteins on filtering membrane repels negatively charged particles and allows positively charged particles.

Explanation: Epithetial cells of Bowman's capsule deposits negatively charged sialoproteins in basement membrane.
It repels negatively charged particles and attracts positively charged particles.